Which of the following is not a component of sebum?
1. Cholesterol
2. Wax
3. Glycerides
4. Propylene

Correct answer: 4. Propylene

Explanation: Ans. (d) PropyleneRef: Rooks 8thed ch: 42.5